Most consistent and persistent feature of Ca Bladder
1. Frequency
2. Dysuria
3. Lump
4. Hematuria

Correct answer: 4. Hematuria

Explanation: Hematuria is the most consistent and Persistent feature of Ca Bladder.